flouroquilones C/I in liver diseases is ?
1. pefloxacin
2. levofloxacin
3. oflaxacin
4. lomefloxacin

Correct answer: 1. pefloxacin

Explanation: PEFLOXACIN : WELL ABSORBED IN GIT NO EFFECT KIDNEYS C/I IN LIVER FAILURE REF : KD TRIPATHI 8TH ED